Which of the following brain tumors does not spread CSF ?
1. Germ cell tumors
2. Medulloblastoma
3. CNS lymphoma
4. Craniopharyngioma

Correct answer: 4. Craniopharyngioma

Explanation: Ans. is 'd' i.e., Craniopharyngioma Brain tumors spreading CSF Ependymoma o Pineoblastoma o Choroid plexus carcinoma Medulloblastoma o Germinoma o Astrocytoma CNS lymphoma